A patient with leprosy had slightly erythematous, anesthetic plaques on the trunk and upper limbs. He was treated with paucibacillary multidrug therapy (PB -MDT) for 6 months. At the end of 6 months, he had persistent erythema and induration in the plaque. The next step of action recommended by the World Health Organization (WHO) in such a patient is -
1. Stop antileprosy treatment
2. Continue PB-MDT till erythema subsides
3. Biopsy the lesion to document acitivity
4. Continue dapsoen alone for another 6 months

Correct answer: 1. Stop antileprosy treatment